During surgery of hernia, the sac of a strangulated inguinal hernia should be opened at the -
1. Neck
2. Body
3. Fundus
4. Deep ring

Correct answer: 3. Fundus

Explanation: In strangulated hernia the sac is opened at the fundus before constriction is relieved.
This is done to avoid the risk of contaminating the peritoneal cavity with highly toxic fluid swarming with the organisms in the sac containing devitalised bowel.
Another advantage is that contents of the sac will not get opportunity to slip inside the abdomen before they are thoroughly examined.